Where does the main part of vertebral venous plexus lie
1. Subdural space
2. Epidural space
3. Subarachnoid space
4. Outside the vertebra

Correct answer: 2. Epidural space

Explanation: Vertebral venous plexus lies in the epidural space.